Membrane potential of hair cell is
1. -20mV
2. -40mV
3. -60mV
4. -80mV

Correct answer: 3. -60mV

Explanation: The resting membrane potential of the hair cell is about -60mV. When the stereocilia are pushed toward the kinocilium, the membrane potential is decreased to about -50mV.Ref: Ganong's Review of medical physiology;25th edition; pg: 204